Purtscher's retinopathy in acute pancreatitis is due to which of the following?
1. Occlusion of the posterior retinal artery with aggregated granulocytes
2. Occlusion of ciliary artery with exudation
3. Central retinal artery occlusion with cotton wool spots and hemorrhage
4. Inflammatory exudates in the retinal vein

Correct answer: 1. Occlusion of the posterior retinal artery with aggregated granulocytes

Explanation: Purtscher's retinopathy a sudden and severe loss of vision in a patient with acute pancreatitis. It is due to occlusion of the posterior retinal artery with aggregated granulocytes. Reference: Harrisons Principles of Internal Medicine, 18th Edition, Page 2642